'Articulators'
1. Duplicate jaw movements
2. Simulate jaw movements
3. Have condylar movements
4. Reproduce the bennet movement

Correct answer: 2. Simulate jaw movements